All are involved in bilirubin metabolism except?
1. ALA synthase
2. Heme oxygenase
3. Biliverdine reductase
4. Glucuronyl transferase

Correct answer: 1. ALA synthase

Explanation: Ans. is 'a' i.e., ALA synthase